Transport medium for cholera -
1. LJ medium
2. Cary Blair medium
3. MYPA medium
4. Stewart medium

Correct answer: 2. Cary Blair medium

Explanation: Ans. is 'b' i.e., Cary Blair medium * V cholerae is not nutritionally fastidious and grows well on ordinary media.* Optimum temperature for growth is 37degC (range 16-40degC).* They grow better in alkaline media with optimum pH 8-2.* 0[?]5-1 % NaCl is required for optimal growth (6% or above NaCl inhibits the growth).Vibrios are susceptible to heat drying but resist high alkalinity* MaConkeys agar - Initial colourless colonies, later become reddish due to late lactose fermentation.* Blood agar - Initially sorrounded by a zone of greening, which later become clear due to hemodigestion.* In gelatin stab culture, infundibuliform (funnel shaped) or napiform (turnip shaped) liquefaction occur.* Important media used for V cholerae are:-V. cholerae | |||Transport or holding mediaEnrichment mediaPlating (selective) media* Venkatraman - Ramakrishnan (VR) medium* Cary-Blair medium* Autoclaved sea water* Alkaline petone water* Monsur's taurocholatepeptone water* Alkaline bile salt agar (BSA)* Monsurs gelatin taurocholate trypticase tellurite agar (GTTA)* TCBS medium (Thiosulfate, citrate, bile salts, sucrose)